Most common pattern of Pneumonia seen in Klebsiella infection is:
1. Lobar Pneumonia
2. Bronchopneumonia
3. Interstitial Pneumonia
4. Miliary Pneumonia

Correct answer: 1. Lobar Pneumonia

Explanation: Answer is A (Lobar Pneumonia): The most common pattern of Pneumonia seen in Klebsiella infection is Lobar Pneumonia Streptococcus Pneumoniae (Pneumococcus) and Klebsiella are two common organisms that produce a lobar pattern of Pneumonia. The radiographic pattern of pneumonia. Lobar Lobular (bronchopneumonia) Interstitial